Salt losing nephropathy -
1. Interstitial nephritis
2. Lupus nephritis
3. Amyloidosis
4. Post-streptococcal GN

Correct answer: 1. Interstitial nephritis